Characteristic of histrionic personality disorder is?
1. Violation of rules of society
2. Attention - seeking behavior
3. Unstable interpersonal relationship
4. Grandiose behavior

Correct answer: 2. Attention - seeking behavior

Explanation: Ans. is 'b' i.e., Attention - seeking behavior * Patients with histrionic personality disorder display excessive emotionality and attention-seeking behavior.Other options* Violation of rules of society - antisocial personality disorder* Unstable interpersonal relationship - borderline personality disorder* Grandiose behavior - narcissistic personality disorderClustor B (Dramatic, Emotional and Erratic)1. Antisocial (Dissocial) personality disorder:- The essential features of antisocial personality disorder are a disregard for and violation of the rights of the other and the rules of the society. It is characterized by repeated violation of the law and rules of the society (Drug abuse); Physical aggressiveness; Reckless disregard for safety of self or others; Consistent irresponsibility in work and family environment and lack of remorse. This disorder is synonymous with previously used terms like psychopath or sociopath.2. Borderline personality disorder:- The central feature of borderline personality disorder is a pervasive pattern of unstable and intense interpersonal relationship, self perception and mood. The patient make recurrent suicidal threats and gesture and a small proportion of patients carry out the act or self mutilation like cutting or burning. The patients have difficulty in controlling their anger and impulsitivity. There is uncertainty about personal identity.3. Histrionic personality disorder: - Patients with histrionic personality disorder display excessive emotionality and attention- seeking behavior. They are quite dramatic and often sexually provocative or seductive. Their emotions are labile.4. Narcissistic personality disorder: - Narcissistic patients are grandiose and require admiration from other. This is characterized by Ideas of grandiosity & inflated sense of self importance; lack of empathy with others; attention seeking behavior; exploitation of others; and an arrogant, haughty attitude. Symptoms of Narcissistic personality disorder can be confused with manic phase of bipolar disorder.Other options* Shy and socially inhibited - avoidant personality disorder* Markedly detached - schizoid personality disorder* Emotionally cold - schizoid personality disorder.